Prolactin secretion is not stimulated by:
1. Levodopa
2. Sleep
3. Estrogen
4. Pregnancy

Correct answer: 1. Levodopa

Explanation: Ans. A LevodopaRef: Ganong's, 23rd ed. pg. 333Factors affecting Prolactin secretionIncrease prolactinDecrease prolactin* Sleep* Pregnancy; Estrogen* Opioids* TRH* Phenothiazines* L-Dopa* Apomorphine* Bromocriptine related ergot derivative